Cardiac output is determined by
1. Ratio of organ to total peripheral resistance
2. Mean stroke volume
3. Mean BP
4. Contractility of heart

Correct answer: 2. Mean stroke volume

Explanation: Cardiac o/p=stroke volume*Heart rate Therefore cardiac o/p is collectively regulated by Stroke volume and Heart rate Ref: Ganong's Review of Medical Physiology Twenty-Third Edition Page No: 514